The most frequent cause of recurrent genital ulceration in a sexually active male is:
1. Herpes genitalis
2. Aphthous ulcer
3. Syphilis
4. Chancroid

Correct answer: 1. Herpes genitalis

Explanation: Sexually transmitted herpes simplex virus type II(HSV) infections cause most genital ulcer disease. Disease % Herpes 62 % Chanchroid 12 to 20 % Syphilis 13 % LGV and Granuloma Inguinale 5% Herpes ulcers are painful, vesicular, multiple and are associated with firm tender lymphadenopathy.